Electron microscopy finding indicating irreversible cell injury is:
1. Dilation of ER
2. Dissociation of ribosomes from rough ER
3. Flocculent densities in the mitochondria
4. Intact cell membrane

Correct answer: 3. Flocculent densities in the mitochondria

Explanation: Irreversible injury is associated morphologically with:- Mitochondrial swelling Plasma membrane damage which forms myelin figures Lysosomal swelling. Large, flocculent, amorphous densities develop in the mitochondrial matrix